Postmortem caloricity is seen in?
1. Heat stroke
2. Tetanus
3. Cholera
4. All of the above

Correct answer: 4. All of the above

Explanation: Usually there is steady decline in body temperature after death but in some cases body temperature remains elevated for first 2 hours after death.
It is seen in Heat stroke, pontine hemorrahge, septicemia, tetanus, strychnine poisoning.